Artery piercing the oblique popliteal ligament of knee -
1. Superior genicular
2. Inferior genicular
3. Middle genicular
4. Popliteal

Correct answer: 3. Middle genicular

Explanation: Middle genicular Oblique popliteal ligament is an expansion from the tendon of semimembranosus attachment to intercondylar line of femur. It is closely related to popliteal artery and is pierced by middle genicular vessels and nerve and the terminal part of the posterior division of the obturator nerve.